False about partial mole
1. Caused by triploidy
2. Can be diagnosed very early by USG
3. Can present as missed abortion
4. Rarely causes persistent GTD

Correct answer: 2. Can be diagnosed very early by USG

Explanation: Ans. is b i.e. can be diagnosed very early by USG Partial moles Partial moles or incomplete molar pregnancy means that along with the hydatidiform changes some element of fetal tissue is present They have a triploid karyotype (69 chromosomes)deg, the extra haploid set of chromosomes usually is derived from the fatherdeg. Characteristic pathological features of partial mole Chorionic villi of varying sizes with focal hydatiform swelling, cavitation and trophoblastic hyperplasia Marked villous scalloping Prominent stromal trophoblastic inclusions Identifiable embryonic or fetal tissue. Clinical features -- hey generally do not have the dramatic clinical features characteristic of complete pt general these patients have the signs and symptoms of incomplete or missed abortion, and partial mole can be diagnosed after histologic review of tissue obtained by curettage". Features like hyperemesis, hyperthyroidism and Theca lutein cysts are rare in partial mole. Prognosis "The risk of persistent trophoblastic disease after a partial mole is substancially lower than following a complete molar pregnancy. Moreover, persistent disease is seldom a choriocarcinoma." The risk of persistent trophoblastic disease in a case of partial mole is 1-5% wherease with complete mole, it is 15-20% Hence option d i.e. it rarely causes persistent trophoblatic disease is partially correct Diagnosis -- of partial mole by USG is not that easy as is in the case of complete mole because it does not give the characteristic vesicular & ultrasonographic appearance like a complete mole. "Sonographic features of a partial mole include a thickened, hydropic placenta with fetal tissue. Importantly, in early pregnancy, sonographv will demon t te the rho raeristic appearance in as few as third of women with a partial mole" ... Williams Obs 23/ed pg-260 Hence Option b i.e. it can be diagnosed very early by USG is incorrect Remember - - The USG criteria for diagnosis of partial mole is Presence of focal cystic areas in the placental tissues . Increase in transverse diameter of gestational sac. The combination of above two criterias have a positive predictive value of 90% for partial moles . (This means USG can diagnose partial mole but not in early pregnancy) The nonviable fetus associated with a triploid partial mole typically has multiple malformations, like syndactyly and hydrocephaly and have symmetrical growth retardation. 13 hcg levels > 200 m IU/rni, after evacuation of partial mole in the third through the eighth week are associated with a 35% risk of persistent trophoblastic disease. Extra edge The most significant recent development in the pathological analysis of H. mole is the use of P57kip2 immunostaining to make a definitive diagnosis of androgenetic complete H. Mole as opposed to an hydropic abortion or a partial mole. P57kip2 is a paternally imprinted gene. which is maternally expressed. The absence of maternal genes in androgenetic complete mole means that the gene cannot be expressed in a complete mole cytotrophoblast Hence V kip2 staining is negative in complete mole in contrast to partial moles, hydropic abortion & normal placenta. This technique is well validated, easy and inexpensive to perform.